Process of mixing waste with cement before disposal is known as -
1. Inertization
2. Controlled tipping
3. Sanitary landfill
4. Burial

Correct answer: 1. Inertization

Explanation: Ans. is 'a' i.e., Inertization * The process of inertization involves mixing waste with cement and water substances before disposal to minimize the risk of toxic substances contained in the waste migrating into surface water or groundwater. It is especially suitable for pharmaceuticals and for incineration ashes with a high metal content (in this case, the process is also called "stabilization").* For the inertization of pharmaceutical waste, the packaging should be removed, the pharmaceuticals ground, and a mixture of water, lime and cement added. A homogeneous mass is formed, and cubes (e.g. of 1 m) or pellets are produced onsite, subsequently, these can be transported to a suitable storage site. Alternatively the homogeneous mixture can be transported in liquid state to a landfill and poured onto the surface of previously landfilled municipal waste, then covered with fresh municipal waste.* The following are typical proportions (by weight for the mixture):# 65% pharmaceutical waste# 5% lime# 15% cement# 5% water